Adenoacanthoma is which type of uterine cancer?
1. Poorly differentiated adenocarcinoma
2. Well differentiation Adenocarcinoma
3. Mucinous carcinoma
4. Papillary serous carcinoma

Correct answer: 2. Well differentiation Adenocarcinoma

Explanation: Ans. B. Well differentiation AdenocarcinomaBetween 75 and 80% of all endometrial carcinomas are adenocarcinomas, and the prognosis depends on stage, histologic grade, and extent of myometrial invasion. Grade I tumors are highly differentiated adenocarcinomas, grade II tumors contain some solid areas, and grade III tumors are largely solid or undifferentiated. Adenocarcinoma with squamous differentiation is seen in 10% of patients; the most differentiated form is known as adenoacanthoma, and the poorly differentiated form is called adenosquamous carcinoma. Other less common pathologies include mucinous carcinoma (5%) and papillary serous carcinoma (<10%).